Regarding the established risk factors for breast cancer, all are true, EXCEPT:
1. Occurrence in Indian women is about a decade earlier than in western women
2. Breast cancer is common in higher socioeconomic groups
3. Prior breast biopsy of benign breast disease is associated with a decreased risk of Ca breast
4. 40 or more years of menstruation doubles the risk of Ca breast as compared with 30 years

Correct answer: 3. Prior breast biopsy of benign breast disease is associated with a decreased risk of Ca breast

Explanation: Prior breast biopsy for benign breast disease is associated with an increased risk of Ca breast. History of Ca breast in 1st degree relative, nulliparity, high fat diet, OCP and radiation are also associated with increased risk of Ca breast. The rest of the statements regarding breast cancer given in the question are true. Ref: Park, Edition 21, Page 359